Administration of which of the following drug requires monitoring:
1. Lithium
2. Haloperidol
3. Diazepam
4. Acetazolamide

Correct answer: 1. Lithium

Explanation: Ans. A: Lithium Therapeutic drug monitoring is the measurement of medication levels in blood. Its main focus is on drugs with a narrow therapeutic index, i.e. drugs that can easily be under- or overdosed. Examples of drugs analysed by therapeutic drug monitoring: Aminoglycoside antibiotics (gentamicin) Antiepileptics (such as carbamazepine, phenytoin and valproic acid) Mood stabilisers, especially lithium citrate Antipsychotics (such as pimozide and clozapine) Theophylline Digoxin Antiarrhythmics